Eicosapentaenoic acid is richly found in
1. Ground nut oil
2. Fish oil
3. safflower oil
4. sunflower oil

Correct answer: 2. Fish oil

Explanation: Ans) b (Fish oil) Ref park 20th ed p 529Eicosapentaenoic acid is an essential fatty acidEFAare those that cannot be synthesized by humans. They can be derived only from food. The most importantEFA is linoleic acid, which serves as a basis for the production of other EFAsEicosapentaenoic acid is seen in fish oil (10%). It is a direct pick from the table showing dietary sources of EFAs.